Cardiac involvement in carcinoid syndrome is characterized by:
1. Calcification tricuspid valve
2. Intimal fibrosis of right ventricle,tricuspid and pulmonary valve
3. Involvement of the major blood vessels is commonly seen
4. Equal involvement of both the sides of heart

Correct answer: 2. Intimal fibrosis of right ventricle,tricuspid and pulmonary valve

Explanation: Cardiac lesions are present in 50percent of the patients with the carcinoid syndrome. These are largely right sided due to inactivatiin of both serotonin and bradykinin in the blood during passage through lungs by the monoxime oxidase present in pulmonary vascular endothelium. (ref Robbins 8th/569)